Total daily dose of DEC in filariasis is:-
1. 2 mg/kg
2. 6 mg/kg
3. 10 mg/kg
4. 15 mg/kg

Correct answer: 2. 6 mg/kg

Explanation: DEC (Diethylcarbabamazine) is drug of choice for filariasis. It is given at a dose of 2 mg/kg thrice a day (total 6 mg/kg daily) for 10-14 days. Yearly combination of three drugs as a single dose on mass scale is approved for decreasing the transmission of filariasis. These drugs are: DEC: 6 mg/kg Ivermectin: 400 mcg/kg Albendazole: 400 mg